Calcification of the aortic valve is seen in :
1. Aortic stenosis
2. Aortic regurgitation
3. Marfan's syndrome
4. Hurler's syndrome

Correct answer: 1. Aortic stenosis

Explanation: Answer is A (Aortic Stenosis) Aortic calcification is most commonly associated with Aortic stenosis Aortic Calcification in Aortic stenosis is usually apparent on fluoroscopic examination with an image intensifier or by echocardiography. The absence of aortic calcification in an adult suggests that severe valvular Aortic stenosis is not present.